Type 5 hypersensitivity reaction is modification of ?
1. 1
2. 2
3. 3
4. 4

Correct answer: 2. 2

Explanation: Ans. is 'b' i.e., 2